Smothering is
1. Asphyxia caused by mechanical occlusion of trachea or bronchi
2. Asphyxia caused by mechanical occlusion of nose and mouth
3. Asphyxia caused by getting locked inside closed space
4. Any of the above

Correct answer: 2. Asphyxia caused by mechanical occlusion of nose and mouth

Explanation: Smothering is asphyxia caused by mechanical occlusion of external air passages (nose and mouth) by hand, cloth, pillow etc.